The swollen degenerating epithelial cell due to acantholysis is
1. Anitschow cell
2. Tzanck cell
3. Ghost cell
4. Prickle cell

Correct answer: 2. Tzanck cell